The most common physical sign of cerebral metastasis
1. Epilepsy
2. Focal neurological deficit
3. Papilloedema
4. Visual defects

Correct answer: 2. Focal neurological deficit

Explanation: *in brain metastases,presentation is with headaches(40-50%),focal neurological deficit(20-40%),coognitive dysfunction(35%),seizures(10-20%) and papilledema(<10%). A focal neurologic deficit is a problem with nerve, spinal cord, or brain function. It affects a specific location, such as the left side of the face, right arm, or even a small area such as the tongue. Speech, vision, and hearing problems are also considered focal neurological deficits Ref Harrison20th edition pg 2764